All of the following are true regarding chronic active hepatitis, except:
1. Common in females
2. Progression to cirrhosis is not seen
3. Remission with steroids
4. May associate with autoimmune disease

Correct answer: 2. Progression to cirrhosis is not seen

Explanation: Chronic hepatitis is defined as a chronic inflammatory reaction of the liver of more than 3-6 months duration, demonstrated by persistently abnormal serum aminotransferase levels and characteristic histologic findings. The causes of chronic hepatitis include. HBV, HCV and HDV autoimmune hepatitis, chronic hepatitis associated with certain medications (particularly isoniazid), Wilson's disease, and antiprotease deficiency. Autoimmune hepatitis responds to steroids and is more common in females with 4:1 ( F:M) ratio.